A one year old child having leukocoria was detected to be having a unilateral, large retinoblastoma filling half the globe. Current therapy would involve –
1. Enucleation
2. Chemotherapy followed by local dyes
3. Direct Laser ablation using photodynamic cryotherapy
4. Scleral radiotherapy followed by chemotherapy.

Correct answer: 1. Enucleation

Explanation: Tumor involving less than half of the globe → Multimodal therapy (Chemoreduction followed by local destruction).
Tumor involving half or more of the globe → Enucleation.